Radial keratotomy is used as a treatment modality for –
1. Small degree in myopia
2. Progressive non healing ulcer
3. High astigmatism
4. High hypermetropia

Correct answer: 1. Small degree in myopia

Explanation: Radial keratotomy is used for low to moderate myopia (-2 to -6D).